Which of the following is the cause of wide pulse pressure
1. Aortic stenosis
2. Aortic regurgitation
3. Mitral stenosis
4. Tricuspid stenosis

Correct answer: 2. Aortic regurgitation

Explanation: Signs of Aortic Regurgitation : *Collapsing pulse *Increased pulse pressure *Quincke's sign, Duroziez's sign, de Musset's sign *Murmers : early diastolic murmer, Austin Flint murmur *displaced apex beat, 4th heart sound Reference : Davidson, 23rd Edition, page no : 524.